As per ESI act sickness benefit is given for?
1. 91 days
2. 309 days
3. 409 days
4. 2 years

Correct answer: 1. 91 days

Explanation: ANSWER: (A) 91 daysREF: Park's 22nd ed., Pg. 761Indirect Repeat 2012 Session II (See detailed explanation)